Desert rheumatism is caused by
1. Coccidiodes
2. Paracoccidiodes
3. Blastomyces
4. Histoplasma

Correct answer: 1. Coccidiodes

Explanation: Desert rheumatism or valley fever or california fever caused by Coccidiodes speies.